True about apoptosis is all, EXCEPT
1. Considerable apoptosis may occur in tissues before it becomes apparent in histology
2. Apoptosis of cells induce inflammatory reaction
3. Apoptotic cells appear round mass of the intensely eosinophilic cytoplasm with dense nuclear chromatin fragments
4. Macrophages phagocytose the apoptotic cells and degrade them.

Correct answer: 2. Apoptosis of cells induce inflammatory reaction

Explanation: Apoptosis: It is a process by which unwanted cells are eliminated during embryogenesis or various physiological
Processes. It is a programmed cell death *
The two most striking features of apoptosis are:
1. In contrast to necrosis, it does not elicit inflammation *
2. Considerable apoptosis may occur in tissues before it becomes apparent in histological section (because of it occurs very rapidly).
The following morphological features are seen in cells undergoing apoptosis:
1. Cells shrinkage.
2. A chromatin condensation* = Most characteristic feature of apoptosis.
3. Formation of cytoplasmic blebs and apoptotic bodies*.
4. Phagocytosis of apoptotic cells by adjacent healthy macrophages or parenchymal cells.
In histological sections, apoptotic cell appears as round or oval mass of intensely eosinophilic cytoplasm with
dense nucleus chromatin fragments.